What is the color-coding of bag in hospitals to dispose off human anatomical wastes such as body parts?
1. Black
2. Yellow
3. Red
4. Blue

Correct answer: 2. Yellow

Explanation: Yellow - Plastic bag - Incineration/deep burial
Red - Disinfected container/Plastic bag - Autoclave/Microwave/Chemical treatment
Blue/White translucent - Plastic bag - Autoclave/Microwave/Chemical treatment and Destruction/Shredding
Black - Plastic bag - Secured landfill